Non -sterile hypopyon is seen in-
1. Pneumococcus infection
2. Pseudomonas infection
3. Fungal infection
4. Gonococcal infection

Correct answer: 3. Fungal infection

Explanation: In fungal ulcer, usually, a big hypopyon is present even if the ulcer is small.
Unlike the bacterial ulcer,the hypopyon may not be sterile as the fungi can penetrate into the anterior chamber without perforation